Blue hypostasis is seen poisionig due to :
1. H2S
2. Phosphorus
3. CO
4. Organophosphorus compounds

Correct answer: 1. H2S

Explanation: A i.e. H2S